Most common site for staphylococcus carrier:
1. Skin
2. Nose
3. Oropharynx
4. Perineum

Correct answer: 2. Nose

Explanation: Ans. is. b. Nose